Air in biliary tract is seen in all except:
1. Gall stone ileus
2. Sclerosing cholangitis
3. Carcinoma gall bladder
4. Endoscopic papillotomy

Correct answer: 2. Sclerosing cholangitis

Explanation: B i.e. Sclerosing Cholangitis